Small packets of acetylcholine released randomly from the nerve cell membrane at rest produces
1. Inhibitory post synaptic potential
2. Miniature end plate potential
3. Action potential
4. End plate potential

Correct answer: 2. Miniature end plate potential